Mandibular fracture with damage to inferior alveolar nerve is type of:
1. Simple fracture.
2. Compound fracture.
3. Complex fracture.
4. Comminuted fracture.

Correct answer: 3. Complex fracture.

Explanation: Fractures in which there is fracture of bone along with damage to vital structures or joint anatomy is known as complex fracture